All the following cephalosporins have significant activity against Pseudomonas Species except
1. Cefoperazone
2. Ceftazidime
3. Cefotaxime
4. Cefepime

Correct answer: 3. Cefotaxime

Explanation: CephalosporinsActivity against PseudomonasCefoperazoneSome activityCeftazidimeMost activeCefotaximeNo activityCefepimeReasonable activity(Ref:Harrison's 17/e p952, 18/e p1269, table 152-2)